Most common inherited peripheral neuropathy is?
1. Refsum's disease
2. Charcot marie tooth 1
3. Farber's disease
4. Fabry disease

Correct answer: 2. Charcot marie tooth 1

Explanation: Harrison's principles of internal medicine 17th edition. *Charcot-Marie-Tooth neuropathy is the most common heritable neuromuscular disorder with an incidence of 17 -40 cases per 100,000